Which of the following is the best source of factor VIII-
1. Fresh food
2. Fresh frozen plasma
3. Cryoprecipitate
4. Platelet concentrate

Correct answer: 3. Cryoprecipitate